Variable decelerations on electronic fetal monitoring in a woman who is in labour indicates :
1. Congenital heart disease
2. Compression of head
3. Administration of sympathomimetic drugs to the mother
4. Umbilical cord compression

Correct answer: 4. Umbilical cord compression

Explanation: Umbilical cord compression